The limiting amino acid in Bengal gram is:
1. Methionine
2. Lysine
3. Leucine
4. Tryptophan

Correct answer: 1. Methionine

Explanation: Ans: A (Methionine) Ref: Park 22nd edition pg 564Explanation:Cereals lack lysine and pulses lack methionine.These are called the limiting amino acid. A food containing both pulses and cereals would be complete food, as the deficiency of lysine in cereals is supplemented by the lysine in pulses.Also methionine is compensated by the cereals.Tills is called the supplementary action of protein.